Acetylcholine is the neurotransmitter in the cholinergic neurons. What is the precursor that acetylcholine is derived from?
1. Dicholine
2. Tyrosine
3. Cholic acid
4. Choline

Correct answer: 4. Choline

Explanation: The conversion of choline by CAT (choline acetyltransferase) is responsible for converting choline to acetylcholine. Likewise, the conversion of acetylcholine back to choline is by ACH-ase (acetylcholine esterase). CAT ACh-ase Choline ----> Acetylcholine ----------> Choline